The following statements are related to occipitoposterior except :
1. Malrotation of occiput may cause occipitoacral arrest
2. 10% cases are associated with anthropoid or android pelvis
3. Incomplete forward rotation of occiput may cause deep transverse arrest
4. Non rotation of occiput may cause

Correct answer: 2. 10% cases are associated with anthropoid or android pelvis

Explanation: Occipitoposterior position : In more than 50% of occipitoposterior position is associated with anthropoid or android pelvis Ref: Datta Obs 9e pg 343.